Most common site of distant metastasis in intraorbital malignant melanoma is -
1. Brain
2. Lung
3. Liver
4. Lymph nodes

Correct answer: 3. Liver

Explanation: *Malignant melanoma mostly arise in uvea and uveal malignant is the most common primary intraocular tumor. *The Most common site for distant metastasis of uveal melanoma is liver. Ref: Clinical oncology p.786.